Extradural hemorrhage is seen as:
1. Hyperdense biconvex
2. Hypodense biconcave
3. Hyperdense biconcave
4. Hypodense biconvex

Correct answer: 1. Hyperdense biconvex

Explanation: Ans. (a) Hyperdense biconvexRef: Harrison's 17th ed. Ch 364* Extradural hemorrhage: Bleeding occurs between skull and duramatter. Bleeding occurs due to the rupture ofMiddle meningeal artery. Lucid Interval (Consciousness between two periods of unconsciousness) exists.* In NCCT it shows hyperdensity bleeding, bi-convex or flame shaped bleed.* Treatment: Burr hole surgery.* Subdural hemorrhage: Occurs due to rupture of Cortical bridging veins. In NCCT it shows concavo- convex or sickle shaped bleed.